Most common presentation of Renal cell carcinoma is
1. Abdominal mass
2. Hematuria
3. Flank pain
4. Nocturia

Correct answer: 2. Hematuria